Normal pH of human semen
1. 7
2. 7.2
3. 7.4
4. 7.8

Correct answer: 3. 7.4

Explanation: Normal pH range of semen is: 7.35-7.50Ref: Ganong Review to medical physiology edition. 23 pg No:405